Double depression is
1. Depression with 2 episodes
2. Depression with Dysthymia
3. Depression for 2 weeks/2years
4. Dysthymia

Correct answer: 2. Depression with Dysthymia

Explanation: (B) Depression with Dysthymia > An episode of major depression may become superimposed on an underlying neurotic depression. This is known as double depression.> Neurotic depression has been renamed as dysthymia or dysthymic disorder in DSM-IV-TR and ICD-10.> This category does not requi presence of stress as a precipitating factor, & does not put emphasis on the presence of other neurotic symptoms or traits.> Dysthymia is defined as any mild depression which is not severe enough to be called a depressive episode, and lasts for two years or more. This is more common in females, with an average age of on in late third decade.